A continuous murmur is heard in all of the following conditions except:
1. Ventricular septal defect with aortic regurgitation
2. Patent ductus arteriosus
3. Coronary arteriovenous fistula
4. Venous hum

Correct answer: 1. Ventricular septal defect with aortic regurgitation

Explanation: Answer is A (Ventricular septal defect with Aortic Regurgitation) Ventricular septal defect with Aortic Regurgitation does not produce a continuous murmur Patent Ductus Arteriosus produces a continuous murmur by the presence of a high to low pressure shunt Coronary AV fistula also produces a continuous murmur by the presence of a high to low pressure shunt Venous hum produces a continues murmur by rapid flow of blood Venous hum is a continues murmur usually audible over the medial aspect of the right supraclavicular fossa with the patient upright (Harrison)